Drug distribution is influenced by:
1. Plasma protein binding
2. Lipid solubility
3. Degree of blood flow
4. All of these

Correct answer: 4. All of these

Explanation: - Factors affecting drug distribution

 Lipid solubility - Higher the solubility, higher the distribution
 Ionization at physiological pH - Higher the ionization, lower the distribution
The degree of plasma protein binding - More the binding, less the distribution
 Affinity for different tissues - Higher affinity, higher distribution
 Regional blood flow - More the flow, more the distribution
 Fat: lean body mass ratio (changes with age) - Increases with age
 Disease like CHF, uremia, cirrhosis